Zellwenger syndrome, defect is in
1. Endoplasmic reticulum
2. Lysosome
3. Mitochondria
4. Peroxisome

Correct answer: 4. Peroxisome

Explanation: Zellweger syndrome is a rare congenital disorder characterized by the reduction or absence of functional peroxisomes in the cells of an individual. It is one of a family of disorders called Zellweger spectrum disorders which are leukodystrophies . Zellweger spectrum disorder is a group of conditions that have overlapping signs and symptoms and affect many parts of the body. This group of conditions includes Zellweger syndrome, neonatal adrenoleukodystrophy (NALD), and infantile Refsum disease. Ref -